Which of the following statements about 'Menisci' is not true:
1. Medial meniscus is more mobile than lateral
2. Lateral meniscus covers more tibial articular surface than medial meniscus
3. Medial meniscus is more commonly injured than lateral
4. Menisci are predominantly made up of Type I Collagen

Correct answer: 1. Medial meniscus is more mobile than lateral

Explanation: Medial meniscus is less mobile, more prone to injury and covers less area of the tibial articular surface in comparison to the lateral meniscus. Medial meniscus is more commonly injured than lateral meniscus Type I Collagen is predominant in menisci